True regarding hemobilia
1. Triad of jaundice, pain, Melena
2. MC cause : rupture of portal vein into biliary system
3. MR angiography is the IOC
4. None of the above

Correct answer: 1. Triad of jaundice, pain, Melena

Explanation: Clinical features of Hemobilia Characterised by Quinck's triad (Sandblom's triad) : GI hemorrhage +biliary colic +jaundice Presentation: Melena (90 %), hemetemesis (60%), biliary colic (70%), and jaundice (60%). Tendency for delayed presentation (upto weeks) and recurrent brisk but limited bleeding over months and even years Ref : Sabiston 20th edition Pgno :1472-1474